In metabolism of xenobiotics, all of the following reaction occur in phase one except
1. Oxidation
2. Reduction
3. Conjugation
4. Hydrolysis

Correct answer: 3. Conjugation

Explanation: Metabolic reactions are classified as phase 1(non-synthetic) and phase 11 (synthetic) reactions . Phase 1 reaction include oxidation, reduction ,hydrolysis cyclization and decyclization etc Phase 11 reaction include glucorinidation, acetylation, motivation, sulfation and glycine conjugation Refer KDT 7/e p22-24